TSG mutated in familial gastric ca
1. APC
2. CDKN2A
3. E-cadherin
4. PTEN

Correct answer: 3. E-cadherin